Ear ossicles are
1. Malleus
2. Incus
3. Stapes
4. All the above

Correct answer: 4. All the above

Explanation: Ear ossicles are malleus, incus, and stapes